Arterial supply of tonsil is mainly by?
1. Tonsillar branch of facial artery
2. Maxillary artery
3. Middle meningeal artery
4. External carotid artery

Correct answer: 1. Tonsillar branch of facial artery

Explanation: The tonsil is supplied by five arteries : 1. Tonsillar branch of the facial artery. This is the main artery. 2. Ascending pharyngeal artery from external carotid. 3. Ascending palatine, a branch of the facial artery. 4. Dorsal lingual branches of the lingual artery. 5. Descending palatine branch of the maxillary artery. (Ref: Diseases of ear, nose and throat and head and neck surgery, PL Dhingra 7th edition, Pg no. 291)